Defective neutrophil function is seen in all except:
1. Juvenile periodontitis
2. Diabetes
3. Papillon lefeure syndrome.
4. Gingivitis

Correct answer: 4. Gingivitis

Explanation: Severe periodontitis occurs in patients with neutrophil defects.
Defective neutrophil function is seen in: 

Papillon Lefeure syndrome.
Chediak Higashi syndrome.
Juvenile periodontitis.
Neutropenia
Agranulocytosis
Diabetes